Terlipressin is preferred over vasopressine for esophageal varices because of
1. Faster acting
2. Not metabolized
3. Less side effects
4. More potent

Correct answer: 3. Less side effects

Explanation: Ans. is'c'i.e., Iess side effects Terlipresin is preferred over vasopressin because : -Fewer adverse effectsGreater convenience in use